Which of the following is a ground substance of pulp
1. Glycosaminoglycans
2. Chondroitin sulfate
3. Proteoglycans
4. All of the above

Correct answer: 4. All of the above